Brunner's gland are found in mucosa of
1. Stomach
2. Colon
3. Duodenum
4. Esophagus

Correct answer: 3. Duodenum

Explanation: C. i.e. Duodenum